Inorganic content of cementum is:
1. Less than bone
2. More than bone
3. Equal to that of bone
4. More than that of enamel

Correct answer: 1. Less than bone